A 32 year old male presents with unilateral diminished vision in the right eye. On examination, there is mild iritis, vitritis and focal necrotic lesion is seen at macula. The most likely diagnosis is:-
1. Multiple evanescent white dot syndrome
2. Ocular toxoplasmosis
3. Multifocal choroiditis
4. Ocular sarcoidosis

Correct answer: 2. Ocular toxoplasmosis

Explanation: The most common protozoal infection in adults is toxoplasmosis. The most common means of toxoplasmosis infection in the eye is through reactivation of trophozoites, primary infection occurs in the fetal life. The history strongly suggests toxoplasmosis as there is NECROTIC lesion in the retina with vitritis.